Symptomatic neonatal CNS involvement is most commonly seen in which group of congenital intrauterine infection -
1. CMV and toxoplasmosis
2. Rubella and toxoplasmosis
3. Rubella and HSV
4. CMV and syphillis

Correct answer: 3. Rubella and HSV

Explanation: Ans. is 'c' i.e., Rubella and HSV o CNS involvement is common feature from infection with all agents of TORCH group. o With most infections, patients remain asymptomatic in neonatal period and serious neurological consequences become apparent after neonatal period. o CNS manifestations that are symptomatic in neonatal period are most commonly seen in - i) HSV (76-100%) ii) Rubella (26-60%) o CMV, toxoplasma, and syphillis become symptomatic in less than 10%45% of cases.